A 70 yr old man presents with a h/o prosopagnosia, loss of memory, 3rd person hallucinations since 1 month. On examination deep tendon reflexes are increased, mini mental state examination score is 20/30. What is the most likely diagnosis?
1. Dissociated dementia
2. Schizophrenia
3. Depression
4. Cortical dementia

Correct answer: 4. Cortical dementia

Explanation: Loss of memory is found in dementia in old age .Though there is 3rd person hallucination which can also be present in dementia depression mania but history of increase in deep tendon reflexes and MMSE score 20 or less, points towards dementia